Ectopic pregnancy is most commonly sociated with:
1. Endometriosis
2. Congenital tubal anomalies
3. Tuberculosis
4. Tubal inflammatory diseases

Correct answer: 4. Tubal inflammatory diseases

Explanation: Ans. is d i.e. Tubal inflammatory disease Read the question carefully, it says ectopic pregnancy is most commonly associated with : "Pelvic inflammatory disease (RD) increases the risk of ectopic pregnancy by 6-10 fold." "The most common cause (of ectopic pregnancy) is previous salpingitis due to sexually transmitted disease such as gonococcal and chlamydial infection or salpingitis that follows septic abortion and puerperal sepsis. - After one episode of PID 13% After two episode of PID - 35% After three episode of PID - 75% Note : M/C cause of ectopic pregnancy is PID, Maximum risk of ectopic pregnany is after tubal damage, either due to previous ectopic pregnancy or tubal surgery. Incidence of ectopic pregnancy :